Commonest position of the appendix is:
1. Paracoecal
2. Retrocoecal
3. Pelvic
4. Subcoecal

Correct answer: 2. Retrocoecal

Explanation: Ans. B RetrocoecalRef: BDC, 6thed. vol. II pg. 269-70* Most common position of vermiform appendix is retrocaecal, (12 O'clock- 65%) followed by pelvic (4 O'clock position).Types of appendix and their relative positionAppendixPositionPrevalence /commentRetrocaecal12 O' clock65%; most commonPelvic4 O' clock30%; 2nd most commonSubcaecal6 O' clock2.5%; points towards midinguinal pointPreileal2 O' clock or splenic1 %; points towards spleen & lie infront of ileumPostileal2 O' clock or splenic0.5%; point towards spleen & lie behind ileumParacolic11 O' clock